All are seen in malignant hyperthermia except:
1. Bradycardia
2. Hyperkalemia
3. Metabolic acidosis
4. Hypertension

Correct answer: 1. Bradycardia

Explanation: A i.e. Bradycardia